Spontaneous regression is seen in:
1. Port Wine Hemangioma
2. Strawberry Hemangioma
3. Cavernous Hemangioma
4. Arterial angioma

Correct answer: 2. Strawberry Hemangioma

Explanation: Strawberry Hemangioma :Type of capillary hemangioma Baby is normal at birth Appears at the age of 1-3 weeks Grows with the child upto 1 year of age & then cease to grow. By the age of 9 years , 90% demonstrate complete involution . Emptying sign is demonstrable